Most common bony metastasesis due to which primary?
1. Prostate
2. Kidney
3. Liver
4. Melanoma

Correct answer: 1. Prostate

Explanation: Ans. is 'a' i.e., Prostate * Bone is a common site of metastasis for carcinomas of the prostate, breast, lung, kidney, bladder, and thyroid and for lymphomas and sarcomas.* Prostate, breast, and lung primaries account for 80% of all bone metastases.